A child is below the third percentile for height. Growth velocity is normal, but chronologic age is more than skeletal age. The most likely diagnosis is:
1. Constitutional delay in growth
2. Genetic short stature
3. Primordial dwarfism
4. Hypopituitarism

Correct answer: 1. Constitutional delay in growth